Swarming growth on culture is characteristic of which Gram-negative organism
1. Clostridium welchii
2. Clostridium tetani
3. Bacillus cereus
4. Proteus mirabilis

Correct answer: 4. Proteus mirabilis

Explanation: 1. Swarming - Proteus has an ability to swarm (or spread) on solid media. They spread on the surface of the plate in successive waves to form a thin filmy layer in concentric circles. This is known as swarming. 2. Organism which swarm: Proteus, Clostridium tetani, V. parahemolyticus, and Serratia. Clostridium welchii - non motile Clostridium tetani - Gram positive Bacillus cereus- motile, gram positive rod Proteus mirabilis - peritrichous flagella